Which of the following drug reduces blood pressure primarily by directly decreasing heart rate alone?
1. Propranolol
2. Prazosin
3. Alpha methyl dopa
4. Nitroprusside sodium

Correct answer: 1. Propranolol

Explanation: Ans. (A) Propranolol(Ref: Katzung 10/e p165, 169; KDT 8th/e p158)*Methyldopa is useful in the treatment of mild to moderately severe hypertension. It lowers blood pressure chiefly by reducing peripheral vascular resistance, with a variable reduction in heart rate and cardiac output.*Prazosin and nitroprusside are vasodilators and produce reflex tachycardia instead of causing bradycardia.*Propranolol is a non selective beta blocker and acts mainly by decreasing heart rate.